Branches from the Anterior division of the Mandibular nerve supplies all of the following muscles, EXCEPT?
1. Lateral Pterygoid
2. Medial Pterygoid
3. Masseter
4. Temporalis

Correct answer: 2. Medial Pterygoid

Explanation: Branches from the anterior division of the mandibular nerve are the buccal nerve, the nerve to masseter, the deep temporal nerves to the temporalis muscle and the nerve to the lateral pterygoid. The nerve to the medial pterygoid is a branch from the main trunk of the mandibular nerve.